Maximum number of goblet cells are present in:
1. Inferior conjunctiva
2. Nasal conjunctiva
3. Superior conjunctiva
4. Temporal conjunctiva

Correct answer: 2. Nasal conjunctiva

Explanation: The density of golblet cells is maximum nasally and minimum in the upper temporal fornix. The mucus produced by them is an important component of the tear film, deficiency of which may cause dryness of the eyes. Ref: A.K Khurana (2005), Chapter 4, "Disease of The Conjunctiva", In the book, "Opthalmology", 3rd Edition, Newdelhi, Page 80